Myoclonic seizure typically seen in -
1. SSPE
2. Cerebellar lesion
3. Pontine lesion
4. Thalamic lesion

Correct answer: 1. SSPE